Fetal parts are palpable at the earliest by:
1. 16 weeks
2. 18 weeks
3. 20 weeks
4. 28 weeks

Correct answer: 3. 20 weeks

Explanation: Ans. 20 weeks